Social smile is attained at what age ?
1. 2 months
2. 5 months
3. 9 months
4. 1 year

Correct answer: 1. 2 months